Pastia's lines are seen in
1. Measles
2. Varicella
3. Syphilis
4. Scarlet fever

Correct answer: 4. Scarlet fever

Explanation: Pastia's lines :

Rash gets concentration in axilla and grain.
It is seen in Scarlet fever.